A 55yr old women diagnosed to be Ca cervix stage 2B advised for chemo radiation Which of the following is true statement
1. small bowel is most radio resistant
2. small blood vessels are most radio resistant
3. rapidly proliferating cells are most radio resistant
4. dose intensity of radiation is inversely proportional to the square of distance of the source

Correct answer: 4. dose intensity of radiation is inversely proportional to the square of distance of the source

Explanation: REF : SHAW GYNECOLOGY